Regarding orientation of spiral arteries, which of the following is true
1. Both arteries and veins are perpendicular to the uterine wall
2. Both arteries and veins are parallel to the uterine wall
3. Arteries are perpendicular and veins are parallel to the uterine wall
4. Veins are perpendicular and arteries are parallel to the uterine wall

Correct answer: 3. Arteries are perpendicular and veins are parallel to the uterine wall

Explanation: Spiral arteries are perpendicular and veins are parallel to uterine wall. This aids in closure of veins during a uterine contraction and prevents exit of maternal blood from intervillous space.